Most variable absorption is seen with which route?
1. Oral
2. Intramscular
3. Intravenous
4. Per rectal

Correct answer: 1. Oral

Explanation: Ans. is 'a' i.e., Oral Oral administration of drugs is safe, convenient and economical, but has the potential for the most variable absorption pattern. Clinical pharmacology Routes of drug administration Drugs are administered by various routes. Different routes have different characteristics, so that the route of administration may have a profound effect upon the speed and efficiency with which the drugs act. The routes of drug administration may be: i) Local route ii) Systemic route Local route - Drug is administered at the site of lesion. Systemic route - Drug is administered through systemic routes is intended to be absorbed into the blood stream and distributed all over, including the site of action, through circulation.